Malignant pustule is seen in infection with ?
1. Versinia pestis
2. Bacillus cereus
3. Clostridium welchii
4. Bacillus anthracis

Correct answer: 4. Bacillus anthracis

Explanation: Ans. is 'd' i.e., Bacillus anthracis